The philtrum of the upper lip is formed largely by the:
1. Lateral nasal process
2. Frontonasal process
3. Maxillary process
4. Mandibular process

Correct answer: 2. Frontonasal process